Myodesis is employed in amputations for all of the following indications except -
1. Trauma
2. Tumor
3. Children
4. Ischemia

Correct answer: 4. Ischemia

Explanation: Amputations is a procedure where a part of lim is removed through one or more bones. During the amputations musclecshould be cut distal to level of bone. The metgods of muscle sutures are : Myodesis -the muscles are sutured to end of stump Myoplasty-the opposite group of muscles are sutured to each other. These are containdicated in peripheral vascular diseases-ischemia is a feature of Peripheral vascular disease. REF:Essential Orthopaedics.Maheswari &Mhaskar.Edition 5.Pg no:329